The Finnish type of congenital nephritic syndrome occurs due to gene mutations the following protein:
1. Podocin
2. Alpha - actinin
3. Nephrin
4. CD2 activated protein

Correct answer: 3. Nephrin

Explanation: "A mutation in the Nephrin gene causes a hereditary form of congenital Nephrotic syndrome (Finnish type) with minimal change glomerular morphology". Ref: Robbin's Illustrated Pathology, 7th Edition, Pages 981, 983, 984